Which of the following is the group of proteins which are essential for the 'folding' of other proteins in a cell?
1. Proteases
2. Chaperones
3. Proteosomes
4. Templates

Correct answer: 2. Chaperones

Explanation: Some proteins need to interact with various polypeptides to attain correct folded shapes. These helper peptides are called molecular chaperones. Molecular chaperones comprise a great variety of proteins that are essential for protein binding and translocation across cellular compartments, assembling multi-protein complexes, preventing aggregation, and directing mis-folded and short-lived proteins to degradation by the proteosome. Ref: Harper's Biochemistry 26th Edition, Pages 507-508 ; Molecular Chaperones by Reginald John Ellis, R. A. Laskey, George H. Lorimer, 1993